Which one of the following condition is associated with palpable form of purpura?
1. ITP
2. Scurvy
3. Acute meningococcemia
4. DIC

Correct answer: 3. Acute meningococcemia

Explanation: Palpable purpura means purpura that does not blanch in diascopy. The causes are: a. Vasculitis: PAN b. Emboli: Acute meningococcaernia. Erythema gangrenosum disseminated gonococcal infection, Rocky Mountain spotted fever.